Threaded pins are used in large dental amalgam restorations to provide:
1. Retention form
2. Resistance form
3. Occlusal stops for opposing teeth
4. Much needed reinforcement of the amalgam

Correct answer: 1. Retention form